Kamla, a 30 yrs old lady examined for infertility by hysterosalpingography, reveals 'Bead-like' fallopian tube & clubbing of ampulla. Most likely cause is:
1. Gonococcus
2. Mycoplasma
3. Chlamydia
4. Mycobacterium tuberculosis

Correct answer: 4. Mycobacterium tuberculosis

Explanation: Tuberculosis -Changes in the fallopian tube are : Beaded tubes Lead pipe Rigid tubes Calcific changes Hydrosalpinx Tubal obstruction and adhesions